Pain felt between great toe and and II toe is due to involvement of which nerve root:
1. L5
2. S2
3. S1
4. S3

Correct answer: 1. L5

Explanation: A. i.e. L5Nerve of laterjet of vagus, which mainly supply antrum & pylorus of stomachQ. It lies along the lesser curvature and in highly selective vagotomy these nerves are preserved.